In case of Hanging, postmortem examination shows tear in carotid artery. This is called?
1. Battle sign
2. Amussat's sign
3. Nutcracker sign
4. Ring sign

Correct answer: 2. Amussat's sign

Explanation: Ans. is 'b' i.e., Amussat's SignAmussat's sign referes to tear in intima of carotid artery.It is seen in cases of hanging.